Which of the following Beta lactam can be used in an individual who is allergic to penicillin?
1. Imipenem
2. Carbenicillin
3. Aztreonam
4. Ticarcillin

Correct answer: 3. Aztreonam

Explanation: Aztreonam is a monobactam (contains single B-lactamase ring) and is the onlly beta lactam antibiotic that can be used in patients of penicillin hypersensitivity as cross allergy is not seen with it.